What is a floating knee -
1. Damage to both anterior and posterior cruciate ligaments
2. Condition of knee due to tear in medial and lateral collateral ligaments
3. Femoral shaft fracture with proximal tibia metaphyseal fracture
4. Advanced tuberculosis of knee joint

Correct answer: 3. Femoral shaft fracture with proximal tibia metaphyseal fracture

Explanation: Ans. is 'c' i.e., Femoral shaft fracture with proximal tibia metaphyseal fracture Floating Kneeo Floating knee is a flail knee joint resulting from fractures of the shafts or adjacent metaphyses of the femur and ipsilateral tibia. Floating knee injuries may include a combination of diaphyseal, metaphyseal, and intra-articular fracturesPresentationo Floating knee injuries must be included in assessment and treatment protocols for patients with polytraumao Damage to the vessels (mainly the popliteal and posterior tibial arteries) and lesions of the nerves (eg, peroneal nerve) are common. Vascular injury is common and may be limb threatening if not recognized and addressedo The incidence of open fractures is high, approaching 50-70%, at one or both fracture sites. The most common combination is a closed femoral fracture with an open tibial fracture,o A well-documented finding is injury to the knee ligaments that occur in association with ipsilateral femoral and tibial fractures. Anterolateral rotatory instability is the most common pattern of instability.